Acne Vulgaris is due to involvement of :
1. Sebaceous Gland
2. Pilosebaeous Gland
3. Eccrine Gland
4. Apocrine Gland

Correct answer: 2. Pilosebaeous Gland

Explanation: Ans. is 'b' Pilosebaceous Gland Acne vulgaris is due to obstruction of Pilosebaceous Duct Lesions consists of - Comedone*PapulesPustulesCystsAlso knowAcne has equal sex incidence *Most common site - Face*